All of the following drugs are protease inhibitors except-
1. Nelfinavir
2. Saquinavir
3. Abacavir
4. Ritonavir

Correct answer: 3. Abacavir

Explanation: Ans. is 'c' i.e., Abacavir Antiretroviral drugs a) Nucleoside reverse transcriptase inhibitors (NRTIs) - Zidovudin, Didanosine, Zalcitabine, Stavudine, Larnivudine, Abacavir. b) Nucleotide reverse transcriptase inhibitor Tenofovir (Katzung I Oth/e) c) Nonucleoside reverse transcriptase inhibitors (NNRTIS) - Nevirapine, Efavirenz, Delavirdine, Etravirine Rilpivirine. d) Protease inhibitors - Ritonavir, Indinavir, Nelfinavir, Saquinavir, amprenavir, Lopinavir, Fosamprenavir, Atazanavir, Darunavir, Tipranavir. e) Fusion inhibitor - Enfuvirtide, Maraviroc. f) Integrase inhibitors - Roltegravir, Elvitegravir.